Antidote for strychnine poisoning is:
1. Fomepizole
2. Physotigmine
3. Barbiturates
4. Naloxone

Correct answer: 3. Barbiturates

Explanation: Ans. Barbiturates